Which of the following Prostaglandin analogue is used in transposition of great vessels to keep ductus arterious patent?
1. Misoprostol (PGE1)
2. Bimatoprost (PGF2)
3. Alprostadil (PGE1)
4. Dinoprostone (PGE2)

Correct answer: 3. Alprostadil (PGE1)

Explanation: Alprostadil (PGE1) and Epoprostenol (PGI2) are used in TGA to keep Ductus arteriosus patent.